C1 esterase inhibitor deficiency causes ?
1. Neisseria infection
2. Hereditary angioneurotic edema
3. Hemolytic disease
4. Hemolytic uremic syndrome

Correct answer: 2. Hereditary angioneurotic edema

Explanation: Ans. is 'b' i.e., Hereditary angioneurotic edema Hereditary angioneurotic edema is due to C1 inhibitor (CI esterase inhibitor) deficiency.